Basement membrane degeneration is mediated by:
1. Metalloproteinases
2. Oxidases
3. Elastases
4. Hydroxylases

Correct answer: 1. Metalloproteinases

Explanation: A i.e. MetalloproteinasesZinc dependent matrix metalloproteinases (MMP) degrade collagen and other extracellular matrix proteins (including that of basement membrane)Q.